Which of the following drug is used postop to reverse the effect of heparin used intraoperatively in cardiac surgery?
1. Protamine sulfate
2. Vitamin K
3. Tranexamic acid
4. Factor VIII concentrate

Correct answer: 1. Protamine sulfate

Explanation: Ans. is 'a' i.e., Protamine sulfate Protamine Sulfate* It is a strongly basic, low molecular weight protein obtained from the sperm of certain fish.* Given i.v.it neutralises heparin weight for weight, i.e. 1 mg is needed for every 100 U of heparin.* For the treatment of heparin induced bleeding, due consideration must be given to the amount of heparin that may have been degraded by the patient's body in the mean time.* However, it is needed infrequently because theaction of heparin disappears by itself in a fewhours, and whole blood transfusion is needed toreplenish the loss when bleeding occurs.* Protamine is more commonly used when heparin action needs to be terminated rapidly, e.g. after cardiac or vascular surgery.